Incubation period of Rabies depends on:
1. Severity of bite
2. Number of bite
3. Site of bite
4. All of the above.

Correct answer: 4. All of the above.

Explanation: 1. Incubation period of Rabies is 1-3 months. 2. The incubation period is less: If the patient is bitten on the head or neck. If inoculum is heavy. Multiple bites. Deep wounds, or large wounds in Children. 3.Pathogenesis of Rabies Mode of transmission - Bite (most common), lick on abrasion, corneal transplant, air borne. Mode of spread - Sensory Nerve - UMN - sympathetic - nervous system. Speed of rabies progress in sensory nerve - 3mm/hr.